Prostaglandin causing fever is:
1. PGF2
2. PGE2
3. PGE1
4. PGT2

Correct answer: 2. PGE2

Explanation: Pyrogenes Substances that cause fever. May be exogenous (Bacterial toxins) and endogenous (IL-1, TNF a, IL-6, Interferons). In the hypothalamus, the prostaglandins, especially PGE2, stimulate the production of neurotransmitters that reset the temperature set point at a higher level.